Foamy liver is characteristic of
1. Adipocere
2. Putrefaction
3. Mummification
4. Drowning

Correct answer: 2. Putrefaction

Explanation: B i.e. Putrefaction